Rash is not caused by ?
1. Salmonella
2. Shigella
3. Meningococci
4. Staphylococcus

Correct answer: 2. Shigella

Explanation: Ans. is 'b' i.e., Shigella Salmonella (typhoid) and meningococci cause morbiliform rash. Staphylococcus causes scarlentiform rash in TS S and SSSS. Infections causing Exanthems (acute generalized rash) Morbilliform Viral : Measles (rubeola), rubella, erythema infectiosum, EBV, CMV, adenovirus, echovirus, early HIV, coxasackie virus. Bacterial : Typhoid, Early secondary syphiis, Early rickettsia, Early meningoccemia. Scarlentiform Scarlet fever (streptococcus). Toxic shock syndrome. Staphylococcal scalded skin syndrome.